The approximate composition of proteins in cell membrane is
1. 75%
2. 55%
3. 25%
4. 13%

Correct answer: 2. 55%

Explanation: The cell membrane (also called the plasma membrane) envelops the cell and is a thin, pliable, elastic structure only 7.5 to 10 nanometers thick. It is composed almost entirely of proteins and lipids. The approximate composition is proteins, 55 percent; phospholipids, 25 percent; cholesterol, 13 percent; other lipids, 4 percent; and carbohydrates, 3 percent.(Ref: Guyton; 13th edition; Chapter 2 The Cell and Its Functions)